Maltese cross appearance in peripheral blood smear is seen in which of the following infections?
1. Plasmodium falciparum
2. Babesia microti
3. Leishmania chagasi
4. Trypanosoma cruzi

Correct answer: 2. Babesia microti

Explanation: In blood smears, Babesia spp. superficially resemble P. falciparum ring stages, but lack hemozoin pigment, exhibit greater pleomorphism, and form characteristic tetrads (Maltese cross), which are diagnostic, if found.